A 14 year old boy has difficulty in expressing himself in writing and makes frequent spelling mistakes. He passes his examination with poor marks. However his mathematical ability & social adjustment are appropriate for his age. Which of the following is the most likely diagnosis?
1. Intellectual Disability
2. Specific learning disability
3. Lack of interest in studies
4. Examination anxiety

Correct answer: 2. Specific learning disability

Explanation: B. i.e. Specific learning disorder SPECIFIC LEARNING DISORDER - Refers to a child's or adolescent's deficit in acquiring expected skill in reading, writing speaking, use of reasoning, listening or mathematics compared to other children of same age and intellectual capacityQ. Since the boy in question has difficultly in writing & frequent spelling mistakes, he is suffering from disorder of written expression Disorder of written expression include -4 poor spelling --> error in grammer & punctuation --> Poor hand writing Because of his mathematical ability and social adjustment which are appropriate for age. The diagnosis of Intellectual Disability & Examination anxiety is ruled out.